Volume of an adult eyeball is:
1. 7.5 mL
2. 6.5 mL
3. 5.5 mL
4. 8 mL

Correct answer: 2. 6.5 mL

Explanation: Ans. 6.5 mL